All are true about cephalosporins, except-
1. Ceftazidime is a 3rd generation cephalosporin
2. Cefoperazone has got antipseudomonal effect
3. Cefoxitin has got no activity against anaerobes
4. Cephalosporins act by inhibiting cell wall synthesis

Correct answer: 3. Cefoxitin has got no activity against anaerobes

Explanation: Ans. is 'c' i.e., Cefoxitin has got no activity against anaerobes